De - quervian's tenovaginitis involves ?
1. Abductor pollicislongus
2. Extensor pollicisbrevis
3. Both of the above
4. None of the above

Correct answer: 3. Both of the above

Explanation: Ans. is 'c' i.e., Both of the above De-Quern's tenovaginitis is characterized by pain over the styloid process of the radius and palpable thickening in the course of the abductor pollicis longus and extensor pollicis brevis tendons. The fibrous sheaths of the abductor pollicis longus and extensor pollicis brevis tendons are thickened where they cross the tip of the radial syloid process. The tendons themselves appear normal as does the synovial lining of sheath. Exact cause is unknow. Excessive friction from overuse may be a factor, because the condition seems prone to follow repetitive actions such as wringing clothes, or in more recent times excessive typing or manipulations. The condition is five times commoner in women than men, predominantly in middle age. The main symptom is pain on using the hand, especially when movement tenses the abductor pollicis longus and extensors pollicis brevis tendons (as in lifting a saucepan or a teapot). On examination, there is local tenderness at the point where the tendons cross the radial styloid process. The thickened fibrous sheath are usually palpable as firm nodule. Passive adduction of the wrist or thumb causes the patient to wince with pain. Finkelstein's test is used to diagnose De-Quervain's tenovaginitis. To perform the test, the patients ask to flex their thumb and clench their fist over the thumb followed by ulnar deviation. This produces sharp pain along the distal radius.